What is NOT a feature of Sturge Weber syndrome -
1. Rail track appearance
2. Hemiatrophy of the brain
3. Convulsion
4. Empty sella

Correct answer: 4. Empty sella